Coffee bean sign is seen in-
1. Sigmoid volvulus
2. Hepatocellular carcinoma
3. Gall stones
4. Paralytic ileus

Correct answer: 1. Sigmoid volvulus

Explanation: Ans. is 'a' i.e., Sigmoid volvulus o 18 Fluorodeoxyglucoseis a radiopharmaceutical used in medical imaging modality positron emission tomography (PET).o Following are the tracers used in Positron emission tomography:18 Fluorodeoxyglucose - Poorly differentiated neuroendocrine tumorsCarbon labeled 5 HTP - Carcinoid111 In octreotide, 68 GaOctreotide, 64 Cu TETA Octreotide - Neuroendocrine tumors11C metomidaie - Adrenocortical tumors18 FDG PET - differentiate between benign and malignant adrenocortical tumors.